Characteristic of XO chromosomal defect Is :
1. Short stature
2. Webbed necked
3. Infertility
4. All of the above

Correct answer: 4. All of the above

Explanation: All of the above